Due to which side effect felbamate can be discontiuned?
1. Aplastic anemia
2. Renal impairment
3. Gastrointestinal disorder
4. Seizures

Correct answer: 1. Aplastic anemia

Explanation: Ans. is'a' i.e., Aplastic anemia Two severe side effects of felbamate are for which FDA has issued warning that drug not be used are hepatic failure and aplastic anemia